Basic amino acids are the following:
1. Aspartate and glutamate Serine and glycine
2. Serine and glycine
3. Lysine and arginine
4. None of the above

Correct answer: 3. Lysine and arginine

Explanation: Basic amino acid consists of those amino acids which have one 'COOH' group and 2 'NH2' gps. Their side chains accept protons. Basic Amino acids include Arginine, Lysine and Histidine. Ref: Textbook of Biochemistry By DM Vasudevan 3rd Edition, Page 12 ; Biochemistry By Mary K. Campbell, Shawn O. Farrell, Page 70 ; Harper's Biochemistry, 24th Edition, Page 29 and 25th Edition, Page 29